Removal of bacteria is:
1. Better with slow sand filter
2. Better with rapid sand filter
3. Equal with both
4. Depends on hardness of water

Correct answer: 1. Better with slow sand filter